Following endarterectomy on the right common carotid, a patient is found to be blind in the right eye. It is appears that a small thrombus embolized during surgery and lodged in the artery supplying the optic nerve. Which artery would be blocked?
1. Central artery of the retina
2. Infraorbital artery
3. Lacrimal artery
4. Nasociliary aretry

Correct answer: 1. Central artery of the retina

Explanation: The central artery of the retina is a branch of the ophthalmic artery. It is the sole blood supply to the retina; it has no significant collateral circulation and blockage of this vessel leads to blindness. The branches of this artery are what you view during a fundoscopic exam. Note: The infraorbital artery is a branch of the maxillary artery. It comes through the infraorbital foramen, inferior to the eye. It supplies the maxillary sinus, the maxillary incisors, canine and premolar teeth, and the skin of the cheek below the orbit. The supraorbital artery is another branch of the maxillary artery. It comes through the supraorbital foramen and supplies blood to the muscles, skin and fascia of the forehead. The lacrimal artery is a branch of the ophthalmic artery that supplies the lacrimal gland. The nasociliary artery doesn't exist, but there is a nasociliary nerve that travels with the ophthalmic artery. Ref: Morton D.A., Foreman K.B., Albertine K.H. (2011). Chapter 18. Orbit. In D.A. Morton, K.B. Foreman, K.H. Albertine (Eds), The Big Picture: Gross Anatomy.